Which of the following drugs is used for painful diabetic neuropathy
1. Duloxetine
2. Pregabalin
3. Amitriptyline
4. All of the above

Correct answer: 4. All of the above

Explanation: Answer is D (All of the above): Amitriptyline may all be used for treatment of painful diabetic neuropathy. Two agents, Duloxetine and Pregabalin have been approved by the U.S. FDA for pain associated with diabetic neuropathy -